All of the following are true about manifestations of vitamin E deficiency, except:
1. Hemolytic anemia
2. Posterior column abnormalities
3. Cerebellar ataxia
4. Autonomic dysfunction

Correct answer: 4. Autonomic dysfunction